Crescents are derived from -
1. Epithelial cells + fibrin + macrophage
2. Mesangium + fibrin + macrophage
3. Tubule + mesangiaum + fibrin
4. Mesangiaum + fibrin

Correct answer: 1. Epithelial cells + fibrin + macrophage

Explanation: Ans. is 'a' i.e., Epithelial cells + fibrin+macrophage o Regardless of the cause, the classical histological picture of RPGN is characterized by the presence of crescents in most of the glomerulio So. RPGN is also known as crescentic glomerulonephritis.Crescent formationo Despite the wide variety of diseases that causes RPGN, all types of RPGN are characterized by glomerular injury and the formation of crescents.o Severe injury and GBM rupture leads to the leakage of plasma proteins through the GBM.o Of these proteins, fibrin is thought to contribute most strongly to crescent formation,o Parietal epithelial cells lining the bowman capsule respond to the leaked fibrin and proliferate,o Infiltrating white blood cells such as monocytes and macrophages also proliferate.o These proliferating cells surround and compress the glomerulus, forming a crescent - shaped scar that is readily visible on light microscopy of a renal biopsy.Renal features in RPGNCrescent formation - crescents are forms by -a) Cells-Parietal epithelial cells + WBCs (monocytes and macrophages)b) Fibrin strands- are prominent between the cellular layers in the crescents.Rupture of GBMSubepithelial deposits in type II RPGNLinear deposits in the GBM in type I RPGN.